Prolonged use of anticonvulsant drug can produce weight loss:
1. Gabapentin
2. Oxcarbazepine
3. Topiramate
4. Valproic acid

Correct answer: 3. Topiramate

Explanation: Ans. C. TopiramateTopiramate is the newer class of antiepileptic drug which act via blockade of sodium channel, activation of GABA receptor and blockade of NMDA receptor. It is drug of choice for Lenox Gastaut syndrome. It can weight loss.